Which of the following is NOT true about adrenergic receptors
1. α1 receptors are usually presynaptic
2. β1 receptors are predominantly found in heart
3. Noradrenaline stimulates β1  receptors
4. α2 receptor stimulation inhibits transmitter release

Correct answer: 1. α1 receptors are usually presynaptic

Explanation: Presynaptic sympathetic receptors are usually α2. Other statements are true